The most common site, where organisms are present in a typhoid carrier is:
1. Spleen
2. Gall Bladder
3. Liver
4. Salivary gland

Correct answer: 2. Gall Bladder